Fixed drug combination have all advantages except ?
1. Increased compliance
2. Decreased incidence of drug resistance
3. No dose adjustment in combination preparations
4. Synergistic effect of some drug combinations

Correct answer: 3. No dose adjustment in combination preparations

Explanation: Ans. is 'c' i.e., No dose adjustment in combination preparation. FDCs offer simple dosage schedule which improves patient compliance and therefore improves treatment outcomes. Important in elderly patients or patients suffering from multiple disorders. More economic than single ingredient drugs. Such reduced "pill burden" can greatly enhance the overall treatment outcome.